Immunoglobulin implicated in atopy and anaphylaxis is:
1. IgE
2. IgM
3. IgG
4. IgA

Correct answer: 1. IgE